Giant congenital melanocytic nevus is:
1. 5 cm
2. >10 cm
3. >15cm
4. >20cm

Correct answer: 4. >20cm

Explanation: Nevus of size >20cm is called as giant melanoma which has high malignant conversion potentials.